Tapetum is a part of?
1. Putamen
2. Corpus callosum
3. Internal capsule
4. Trigeminal quadrigemini

Correct answer: 2. Corpus callosum

Explanation: ANSWER: (B) Corpus callosumREF: Inderbir singh 9th ed p. 993CORPUS CALLOSUM:Also known as the colossal commissureThe posterior portion of the corpus callosum is called the splenium; the anterior is called the genu (or "knee"); between the two is the truncus, or "body", of the corpus callosumThe part between the body and the splenium is often markedly thinned and thus referred to as the "isthmus". The rostrum is the part of the corpus callosum that projects posteriorly and inferiorly from the anterior most genu* On either side of the corpus callosum, the fibers radiate in the white substance and pass to the various parts of the cerebral cortex; those curving forward from the genu into the frontal lobe constitute the forceps anterior, and those curving backward into the occipital lobe, the forceps posterior. Between these two parts is the main body of the fibers which constitute the tapetum and extend laterally on either side into the temporal lobe, and cover in the central part of the lateral ventricle.